External branch of superior laryngeal nerve supply:
1. Cricothyroid
2. Thyroarytenoid
3. Posterior cricoarytenoid
4. Cricoarytenoid

Correct answer: 1. Cricothyroid

Explanation: Right recurrent laryngeal nerve may be superﬁcial or deep to the inferior thyroid artery.
Occasionally, some branches are superﬁcial & some are deep.
Left recurrent laryngeal nerve is usually deep to inferior thyroid artery.